Judkins technique is used for?
1. Central venous line placement
2. Coronary arteriography
3. Renal angiography
4. Chest tube insertion

Correct answer: 2. Coronary arteriography

Explanation: Ans. (b) Coronary arteriographyRef: Braunwald's Heart Disease ninth edition chapter 20